All statements are true about the eye of a newborn except –
1. Optic nerve is myelinated only upto lamina cribrosa
2. Orbit is more divergent than adult
3. Apart from macular area the retina is fully differentiated
4. New born is usually myopic by –2 to –3D

Correct answer: 4. New born is usually myopic by –2 to –3D

Explanation: Newborn is usually hypermetropic by +2 to +3D (not myopic).